Culture media for pertusis is:
1. LJ medium
2. Chocolate agar
3. Wilson Blair medium
4. Bordet gengou medium

Correct answer: 4. Bordet gengou medium

Explanation: Ans. D i.e. Bordet gengou medium